Which of the following organism cannot be cultured
1. Klebsiella rhinoscleromatis
2. Klebsiella ozaenae
3. Aspergillus fumigatus
4. Rhinosporidium seeberi

Correct answer: 4. Rhinosporidium seeberi

Explanation: klebsiella species grows well on ordinary media, produce pink mucoid colonies on MacConkey's agar. Aspergillus fumigatus grows on SDA medium and produces green coloured colonies.